Thorium induced tumor is which of the following?
1. Renal cell carcinoma
2. Lymphoma
3. Angiosarcoma of liver
4. Astrocytoma

Correct answer: 3. Angiosarcoma of liver

Explanation: Angiosarcoma of the liver is a highly aggressive tumor which is associated with exposure to: Vinyl chloride Arsenic Thorotrast Thorotrast is a suspension containing particles of the radioactive compound thorium dioxide. It emits alpha particles due to which it has been found to be extremely carcinogenic.